"Intranuclear inclusions" in oligodendrocytes are seen in
1. Creutzfeldt Jacob disease
2. Polio
3. Japanese encephalitis
4. Progressive multiple encephalopathy

Correct answer: 4. Progressive multiple encephalopathy

Explanation: progressive multifocal leukoencephalopathy, JC virus-infected oligodendroglia display 2 distinct patterns of intranuclear viral inclusions: full inclusions in which progeny virions are present throughout enlarged nuclei and dot-shaped inclusions in which virions are clustered in subnuclear domains termed "promyelocytic leukemia nuclear bodies" (PML-NBs) Surrounding the demyelinated areas, the oligodendrocytes are enlarged and contain intranuclear inclusionbodies filled with papovavirus particles, often forming pseudocrystalline arrays Ref ganong's review of medical physiology 25e